All of the following are associated with increased aging, except -
1. Increased cross linkages in collegen
2. Increased superoxide dismutase
3. Increased accumulation of free radicals
4. Accumulated mutation in somatic cells

Correct answer: 2. Increased superoxide dismutase

Explanation: Ans. is b' i.e., Increased superoxide dismutaseSuperoxide dismutase is a scavenger of free radical, "superoxide" and is believed to protect against aging.Theories of Aging according to Harrison's Textbook Hypothesis How it may workGenetic Aging is a genetic program activated in post-reproductive life when an individual's evolutionary mission is accomplishedOxidative stress Accumulation of oxidative damage of DNA, proteins and lipids interferes with normal function and produces a decrease in stress responseMitochondrial dysfunction A common deletion in mitochondrial DNA with age compromises function and alters cell metabolic processes and adaptability to environment changeHormonal changes The decline and loss of circadian rhythm in secretion of some hormones produces a functional hormone deficiency stateTelomerase shortening Aging is related to a decline in the ability of cell to replicateDefective host defeness The failure of the immune system to responds to infectious agents and the overactivity of natural immunity create vulnerability to environment stressesAccmulation of senescent cells Renewing tissues become dysfunctional through loss ofability to renewCross linkage theory Aging results from progressive cross-linkage of intracellular and extracellular proteins such as collagen.Somatic mutation thew)) Somatic mutations tend to accumulate steadily during life and somatic cells become increasingly susceptible to the cumulative effective of DNA damage which lead to aging